Which of the following is commonest site for rodent ulcer:
1. Lips
2. Outer canthus of eye
3. Inner canthus of eye
4. Cheek

Correct answer: 3. Inner canthus of eye

Explanation: Ans. C: Inner canthus of eye Rodent ulcer ("Jacobi ulcer") is a large skin lesion of nodular basal cell carcinoma with central necrosis